A 35 year female presented with complaints of infertility. She has previous history of PID. Preliminary investigations like USG showed normal organs and hormone levels were also normal. What is the next best investigation?
1. Repeat USG
2. Hysterosalpingography
3. Endometrial biopsy
4. Urine culture and sensitivity

Correct answer: 2. Hysterosalpingography

Explanation: Hsg : - It is the procedure to see the uterus and the tubes Done using leech Wilkinson cannula Done in 1st half of the menstrual cycle preferably Drawbacks of hsg : 1) exterior of the tubes is not visible Best test is laparoscopic chromopertubation